Each of the following is a physiological uncoupler EXCEPT:
1. 2,4 dinitrophenol
2. Thyroid hormone
3. Unconjugated bilirubin
4. Long chain fatty acid

Correct answer: 1. 2,4 dinitrophenol

Explanation: Ans. A. 2,4 dinitrophenol* Compounds that can uncouple or delink the ETC from oxidative phosphorylation, such compounds are known as uncouplers* As a result ATP synthesis doesn't occur.* 2,4 Dinitrophenol is an example of chemical uncoupler.Chemical uncouplers* Chemical uncouplers* Physiological uncouplers# 2, 4 dinitrophenol (has been extensively studied)# Thyroid hormones# Dinitrocresol# Long chain fatty acids# Pentachlorophenol# Unconjugated bilirubin# Tri fluoro carbonyl cyanide phenyl hydra zone (FCCP)* These act as uncouplers only at high concentration# Aspirin (high doses)